A 50-year-old diabetic patient with asymptomatic gallstone (>3 cm) will be best treated by?
1. Early surgery
2. Bile salt treatment
3. ESWL
4. Waiting till it becomes symptomatic

Correct answer: 1. Early surgery

Explanation: Ans. is 'a' i.e., Early surgery